According to national health policy, a subcentre caters to population in hilly anti tribal areas ?
1. 3000
2. 5000
3. 1000
4. 2500

Correct answer: 1. 3000

Explanation: Ans. is 'a' i.e., 3000 Sub-centre o The sub-centre is the peripheral out post of the existing healthy delivery system in rural areas. o They are being established : - i) One sub-centre for every 5000 population in general. ii) One sub-centre for every 3000 population in hilly, tribal & backward area.